All are seen in fetal alcohol syndrome except
1. Microcephaly
2. Poor coordination
3. Overgrowth of body
4. Flat face

Correct answer: 3. Overgrowth of body

Explanation: Poor growth. Newborns may have low birth weights and microcephaly. They may not grow or gain weight as well as other children and may be short as adults. Developing babies may have bone, and kidney problems. Vision problems and hearing loss are common.epilepsy and other neurologic problems, such as poor balance and coordination. Delayed development. Kids may not reach milestones at the expected time. Behavioral problems. Babies may be fussy or jittery, and have trouble sleeping. Older children and teens may have: * a lack of coordination and poor fine motor skills * poor social skills (difficulty getting along with friends and relating to others, etc.) * learning difficulties, including poor memory, difficulty in school (especially math), and poor problem-solving skills * behavioral problems such as hyperactivity, poor attention and concentration, stubbornness, impulsiveness, and anxiety Reference: GHAI Essential pediatrics, 8th edition